Which of the following viral infections is transmitted by tick –
1. Japanese encephalitis
2. Dengue fever
3. Kyasanur forest disease (KFD)
4. Yellow fever

Correct answer: 3. Kyasanur forest disease (KFD)